Inclusion body conjunctivitis true is all except -
1. Selflimiting
2. Present only in infants
3. Occurs while passage from birth canal
4. Caused by chlamydia

Correct answer: 2. Present only in infants

Explanation: Ans. is 'b' i.e., Present only in infants o Incclusion body conjunctivitis is caused by chlamydia trachomatis, and can affect both infants (ophthalmia neonatorum) and adults (adult inclusion body conjunctivitis),o Neonatal infection may be acquired during birth from infected birth canal (more common) or after birth.Adult inclusion conjunctivitiso It is a type offollicular conjunctivitis caused by serotypes D to K of chlamydia trachomatis in sexually active young adults. The primary source of infection is urethritis in males and cervicitis in females. Transmission may occur either through contaminated fingers or through contaminated water of swimming pools (Swimming pool granuloma). Presentation is similar to other acute follicular conjunctivits with mucopurulent discharge,o The disease runs a benign course-and often evolves into the chronic follicular conjunctivitis.